Lines of Zahn occur in which of the following?
1. Postmortem clot
2. Infarct
3. Embolus
4. Coralline thrombus

Correct answer: 4. Coralline thrombus

Explanation: Thrombi often have grossly and microscopically apparent laminations called lines of Zahn; these represent pale platelet and fibrin deposits alternating with darker red cell–rich layers. Such laminations signify that a thrombus has formed in flowing blood; their presence can therefore distinguish antemortem thrombosis from the bland non laminated clots occurring in postmortem clots.
In veins, thrombi form coral-like system with framework of platelets, fibrin and trapped white blood cells; This is a coralline thrombus.